Testicular tumour most sensitive to radiation is?
1. Teratoma
2. Lymphoma
3. Mixed germ cell tumor
4. Seminoma

Correct answer: 4. Seminoma

Explanation: Ans. is 'd' i.e., Seminoma